Amyloid deposition is seen in:
1. Papillary carcinoma thyroid
2. Follicular carcinoma thyroid
3. Medullary carcinoma thyroid
4. Anaplastic carcinoma thyroid

Correct answer: 3. Medullary carcinoma thyroid

Explanation: Ans. C i.e. Medullary carcinoma thyroid